Which parameter is almost same at apex and base of lung:
1. pCO2
2. O2 concentration in blood
3. Ventilation
4. Perfusion

Correct answer: 2. O2 concentration in blood

Explanation: Ans. B i.e. O2 concentration in blood At apex the O2 concentration is 20 ml/ 100 ml and at base the value is 19.2 ml/ 100 ml